Cholangiocarcinoma has been associated with infection by:
1. Paragonimus westermani
2. Clonorchis sinensis
3. Loa Loa
4. Schistosoma haematobium

Correct answer: 2. Clonorchis sinensis

Explanation: Risk Factors for Cholangiocarcinoma Choledocholithiasis Clonorchis sinensis and Opisthorchis viverrini Cirrhosis Radon Asbestos, Nitrosamines, Dioxin (AND) Diabetes, Obesity, OCPs, Smoking, Thorotrast, Isoniazid (DOSTI) Most common symptom is jaundice IOC - MRI + MRCP Rx Hilar cholangiocarcinoma - CBD Resection + routine caudate lobectomy + Lymphadenectomy Distal cholangiocarcinoma - Pylorus preserving whipples procedure Gemcitabine + cisplatin is used for advanced cases.